Treatment of lepromatous leprosy:
1. Rifampicin + Dapsone
2. Rifampicin + Clofazamine
3. Rifampicin + Dapsone + Clofazamine
4. Rifampicin + Ofloxacin + Minocycline

Correct answer: 3. Rifampicin + Dapsone + Clofazamine

Explanation: Ans. c (Rifampicin + Dapsone + Clofazamine). (Ref. Harrison's Medicine - 15th/1038; KD Tripathi 5th/- 713)DrugLepromatous leprosyTuberculoid leprosyRifampicin600 mg once a month (supervised)600 mg once a month (supervised)Dapsone100 mg daily100 mg dailyClofazamine300 mg once a month (supervised) 50 mg daily--Duration24 months6 monthsROM regime for single Lesion Leprosy# Rifampicin 600 mg +# Ofloxacin 400 mg + Single dose# Minocycline 100 mg